The Most Common site for Amoebiasis:
1. Sigmoid colon
2. Transverse colon
3. Caecum
4. Liver

Correct answer: 3. Caecum

Explanation: Caecum